Finasteride has efficacy in the prevention of male pattern baldness by virtue of its ability to:
1. Competitively antagonize androgen receptors
2. Decrease the release of gonadotropins
3. Inhibit the synthesis of testosterone
4. Reduce the production of DHT

Correct answer: 4. Reduce the production of DHT

Explanation: Reduce the production of DHT Finasteride is a 1-a-reductase inhibitor. It acts by blocking the conversion of testosterone of DHT. It can be used to relieve the static component of BHP (though its beneficial effect is delayed). Due to decrease in DHT, it can cause impotence. It can also be used in rthe treatment of male pattern baldness and prostate cancer.